Sharp instruments like needle, syringes, scalps hospital waste products etc., are thrown in
1. Yellow bag
2. Red bag
3. White translucent bag
4. Black bag

Correct answer: 3. White translucent bag

Explanation: (Refer: K. Park's Textbook of Preventive and Social medicine, 24th edition, pg no: 830)